A 28-week baby suffered from respiratory distress syndrome at birth. On day 14 of life, he developed sepsis. No other co-morbidity was seen. He should be evaluated for retinopathy of prematurity at what postnatal age?
1. 2 weeks
2. 4 weeks
3. 6 weeks
4. 8 weeks

Correct answer: 2. 4 weeks

Explanation: Ans. b. 4 weeks